All of the following occur in pregnancy EXCEPT
1. Increase in Cardiac output
2. Increase in stroke volume
3. Decrease in fibrinogen levels
4. Rise in the venous pressure in the lower limb in supine position

Correct answer: 3. Decrease in fibrinogen levels

Explanation: (C) Decrease in fibrinogen levels # PHYSIOLOGICAL CHANGES ASSOCIATED WITH PREGNANCY:> Blood Volume increases progressively from 6-8 weeks gestation (pregnancy) and reaches a maximum at approximately 32-34 weeks with little change thereafter.> Renal plasma flow and glomerular filtration rate begin to increase progressively during the first trimester.> Increases in blood volume and cardiac output.> Elevations in plasma flow and glomerular filtration result in an elevation in creatinine clearance.> Blood urea and serum creatinine are reduced by 40%.> here is also an increase in filtered sodium, but tubular absorption is increased by an increase in aldosterone secretion, via the renin-angiotensin meChanism.There is also a decrease in plasma osmolality.# RBC & Haemoglobin: RBC volume is increased to the extent of 20-30%. Total increase in volume is about 350ml; the amount to be regulated by the increased demand of oxygen transport during pregnancy. Disproportionate increase in plasma and RBC volume produces a state of haemodilution during pregnancy. Thus, even though the total haemoglobin mass increases during pregnancy to the extent of 18-20 percent, there is apparent fall in haemoglobin concentration. At term the fall is about 2 gm5 from the non-pregnant value. There is simultaneous fall in number of red cells by 15-20% and the hematocrit level.# Blood changes in Pregnancy: Blood volume +30-40% Plasma volume + 40-50% RBC volume +20-30% Hb+18-20% Hematocrit Diminished. Changes in blood coagulation factors: Platelets Static or-15% Fibrinogen + 50% ESR 4 times increases